Which of the following anticholinesterase is derived from natural source
1. Physostigmine
2. Pyridostigmine
3. Neostigmine
4. Tacrine

Correct answer: 1. Physostigmine

Explanation: Refer kDT 6/e p 102 Physostigmine is a highly toxic parasympathomimetic alkaloid, specifically, a reversible cholinesterase inhibitor. It occurs naturally in the Calabar bean and the Manchineel tree. The chemical was synthesized for the first time in 1935 by Percy Lavon Julian and Josef Pikl.